Most ideal site for sterilisation by tubectomy is:
1. Ampulla
2. Isthumus
3. Fimbriated extremity
4. Interstitial portion

Correct answer: 2. Isthumus

Explanation: Ans: B (Isthumus) Ref: Dutta Textbook of Gynecology 7th ed pg 554Explanation:Most ideal site for tubectomy consists mainly of isthumus and ampullary part of tube .METHODS OF STERILISATIONPomeroy Tubal Ligation -- In this method of tubal ligation, a loop of tube is "strangled" with a suture. Usually, the loop is cut and the ends cauterized or "burned".Uchida technique--Proximal end of resected tube is buried into the serous coat along the antimesentric border.Irving procedure--The proximal ends of the tube are buried into the posterior surface of uterus.Madlener technique--Loop of the tube is crushed with artery forceps and tied with black silk.Kroener method of fimbriectomy.laparoscopic method using rings, clips and electrocoagulation.